A 70-year-old patient with epistaxis, on examination BP 200/100 mm Hg, no active nasal bleeding noted. Next step of management is:
1. Observation with BP management
2. Internal maxillary artery ligation
3. Anterior and posterior nasal pack
4. Anterior nasal pack

Correct answer: 1. Observation with BP management

Explanation: (a) Observation with BP management(Ref. Cummings, 6th ed., 682)Since no active bleed at present so here the main management should aim at lowering of BP.